Most common location of of thyroglossal cyst?
1. Subhyoid
2. Suprahyoid
3. At the level of thyroid cartilage
4. Floor of mouth

Correct answer: 1. Subhyoid

Explanation: MC location of thyroglossal cyst is subhyoid.